All of the following are direct articulations of the true rib except the
1. Costovertebral joint
2. Costochondral joint
3. Costotransverse joint
4. Costosternal joint

Correct answer: 4. Costosternal joint

Explanation: Costosternal joint is not a direct articulation of the ribs. Ribs directly articulate with the vertebral body by the costovertebral joint, with the transverse process of the vertebrae by costotransverse joint, and with costal cartilage by costochondral joint. It is the costal cartilage that attaches the ribs to the sternum. Hence, costosternal joint is a misnomer and should be correctly mentioned as costosteral joint. Ref: Gray's Anatomy 41st edition Pgno: 149